Marker of level of liver injury in cases of hepatitis B is -
1. HBsAg
2. HBV DNA
3. Anti HBeAg
4. Anti HBc

Correct answer: 2. HBV DNA

Explanation: Ans. is 'b' i.e., HBV DNA In patients with chronic hepatitis B infection the level of HBV DNA correlates with the level of liver injury and risk of progression of disease.